Genetic polymorphism include -a)  SNPb)  Microsatellitesc)  Mutationsd)  Translocation e) Mini satellites
1. abe
2. bcd
3. cde
4. acd

Correct answer: 1. abe

Explanation: Genetic polymorphism 

The occurrence of different DNA sequence in at least 1% of population, i.e. presence of more than one genetically distinct types in single population of a species.
In very simple words, genetic polymorphism causes diversity between individuals, e.g. genetic polymorphism might give rise to blue eyes versus brown eyes, or straight hair versus curly hair.
It should be noted that in genetic polymorphism there is variability in DNA sequence; However, the individuals are normal (not diseased); and this differentiate genetic polymorphism from mutation. The, term "mutation", as opposed to "polymorphism", is generally used to refer to changes in DNA sequence which have been associated with disease (or a risk of disease) and are not present in most individuals of a species (present in less than 0.5-1% of individuals, in contrast to genetic polymorphism).
Two types of genetic polymorphisms are there:


Single nucleotide polymorphisms (SNPs) → as the name suggest there is variation in a single nucleotide in every stretch of approximately 1000 base pairs.
Repeat-length Polymorphism → In contrast to SNPs there are short repetitive sequences of variation:


Microsatellites → Repeat size of 2-6 base pairs and less than 1 kilobase.
Minisatellites → 15 to 70 base pairs and 1-3 kilobase.


Most common type of polymorphism is single nucleotide polymorphis (SNP).
These types of base substitutions are frequently encountered during genetic testing and should be differentiated from true mutation that alter protein expression.
The best example of genetic polymorphism is blood groups.